Commonest type of seizure in newborn –
1. Clonic
2. Tonic
3. Subtle
4. Myoclonic

Correct answer: 3. Subtle

Explanation: Most common type of seizures is newborn are subtle seizures and they constitute 50% of all seizures.
They are called subtle seizures because the clinical manifestations are often mild and frequently missed.



Subtle seizures are usually mild paroxysmal alterations in motor behavior or autonomic function that are not clearly clonic, tonic or myoclonic.

Common examples of subtle seizures are -

ocular → Tonic horizontal deviation of eyes or sustained eye opening with ocular fixation or eyelid fluttering
Oral facial lingual movements → Chewing, tongue thrusting, lip smacking
Limb movements → Cycling, paddling, boxing jabs
Autonomic phenomenon → Tachycardia or bradycardia
Apnea → May be a rare manifestation of seizures